Earlier manifestation of Rickets is –
1. Craniotabes
2. Rachitic rosary
3. Harrison groove
4. Pigeon chest

Correct answer: 1. Craniotabes